Kisselbach's plexus is formed by septal branches of all expect
1. Posterior ethmoidal artery
2. Anterior ethmoidal artery
3. Sphenopalatine artery
4. Greater palatine artery

Correct answer: 1. Posterior ethmoidal artery

Explanation: Kiesselbach's Plexus: Arterial plexus of Little's area Formed by s Septal branches of Anterior ethmoidal Superior labial Sphenopalatine Greater palatine artery Ref: Dhingra 7e pg 197.